A 47-year-old woman presents with increasing headaches and visual changes. On examination, her pupils are normal and reactive to light, the extraocular movements are normal, and there are visual field defects of the outer half in both eyes (bitemporal hemianopsia). Which of the following is the most likely diagnosis?
1. pituitary adenoma
2. falx meningioma
3. craniopharyngioma
4. aneurysm of the internal carotid artery

Correct answer: 1. pituitary adenoma

Explanation: Adenomas of the pituitary gland constitute approximately 7% of intracranial tumors, with the chromophobic type being the most common. With macroadenomas, some degree of pituitary insufficiency is common, and half the patients have headaches. With microadenomas, the other pituitary functions may be completely normal.